Tuberculosis commonly affects which part of the intestine:
1. Ileum
2. Jejunum
3. Terminal colon
4. Transverse colon

Correct answer: 1. Ileum

Explanation: Ans. A: Ileum Any part of the GI system may be infected, although the ileum and colon are common sites. Colonic TB most often is associated with ileal TB. The involvement is segmental and especially involves the right colon